A woman has mild depressive symptoms after few days of delivery which disappears within 2 weeks of the postpartum period. The most likely cause is ______
1. Post-partum blues
2. Mania
3. Post-partum psychosis
4. Major depression

Correct answer: 1. Post-partum blues

Explanation: The patient has mild depressive symptoms after a few days of delivery which resolved spontaneously; this is characteristic of postpartum blues. During this period the patient may experience mood lability, sadness, dysphoria, subjective confusion, and tearfulness. These feelings have been ascribed to rapid changes in women's hormonal levels, the stress of childbirth, and the awareness of the increased responsibility that motherhood brings. This usually resolve spontaneously.